Lymphatic drainage of ovary is through:
1. Preaortic and para-aortic lymph nodes
2. Superficial inguinal lymph nodes
3. Deep inguinal lymph nodes
4. Internal iliac lymph nodes

Correct answer: 1. Preaortic and para-aortic lymph nodes

Explanation: Lymph Drainage of ovary The lymph vessels of the ovary follow the ovarian artery and drain into the pre aortic and para-aortic nodes at the level of the first lumbar vertebra. Arterial Supply The ovarian artery arises from the abdominal aorta at the level of the first lumbar vertebra. Venous drainage. The ovarian vein drains into the inferior vena cava on the right side and into the left renal vein on the left side. Nerve Supply The nerve supply to the ovary is derived from the aortic plexus and accompanies the ovarian artery.